Mechanism of action of penicillins and cephalosporins is to inhibit :
1. Cell wall synthesis
2. Leakage from cell membrane
3. Protein synthesis
4. DNA gyrase

Correct answer: 1. Cell wall synthesis